Most common complication of central venous catheter
1. Local bleeding
2. Thrombosis
3. Catheter related infection
4. Pneumotherax

Correct answer: 3. Catheter related infection

Explanation: C i.e. Catheter related infection